Which of the following is not an advantage of immediate dentures
1. Excellent esthetics can be achieved on day of insertion
2. Circumoral support is maintained
3. Speech and mastication are less affected
4. Patient's psychological and social well being is preserved

Correct answer: 1. Excellent esthetics can be achieved on day of insertion

Explanation: A try in is not possible for immediate dentures. Therefore esthetics would be unpredictable.